Consider the following conditions -1. Urinary flow rate less than 10cc / second 2.Residual volume of urine > 100cc 3.Serum level of prostatic specific antigen > 10 mmol / litre 4. Trabeculated urinary bladder Which of the above are indications of TRUP for BHP?
1. 1,2 and 3
2. 2,3 and 4
3. 1,2 and 4
4. 1, 3 and 4

Correct answer: 3. 1,2 and 4